Nimodipine is used in(REPEAT)
1. Subarachnoid haemorrhage
2. Intra cerebral haemorrhage
3. Extra dural haemorrhage
4. Subdural haemorrhage

Correct answer: 1. Subarachnoid haemorrhage

Explanation: Nimodipine- A short-acting calcium channel blocker Crosses blood brain barrier because of its high lipid solubility Selectively relaxes cerebral vasculature Can prevent and reduce the neurological deficit caused by cerebral vasospasm following subarachnoid hemorrhage